Therapeutic dose of Lithium is
1. l-2mEq/lit
2. 0.8-1.2 mEq/lit
3. 0.3-0.6 mEq/lit
4. 2-3 mEq/lit

Correct answer: 2. 0.8-1.2 mEq/lit

Explanation: (B) 0.8-1.2 mEq/lit # BLOOD LITHIUM LEVELS:> Therapeutic levels = 0.8-1.2 mEq/L For treatment of acute mania> Prophylactic levels = 0.6-1.2 mEq/L For relapse prevention in bipolar disorders> Toxic Lithium Levels > 2.0 mEq/L